Drug of choice for Pneumocystis Pneumonia
1. Cotrimoxazole
2. Penicillin
3. Itraconazole
4. Ivermectin

Correct answer: 1. Cotrimoxazole

Explanation: Cotrimoxazole is Doc for Pneumocystis Pneumonia.